In which of the following poisoning formication and insanity occurs together?
1. LSD
2. Amphetamine
3. Cannabis
4. Cocaine

Correct answer: 4. Cocaine

Explanation: In chronic cocaine users, degeneration of central nervous system will result in hallucinations, convulsions, delirium and insanity. Magnan's symptom or cocaine bugs is characteristic of chronic cocaine users, in which there is feeling as if grains of sand are lying under the skin or small insects are creeping on the skin giving rise to itching sensation (formication, tactile hallucination). Ref: The Essentials of Forensic Medicine and Toxicology by Narayan Reddy, 27th edition, Page 536.